Appropriate treatment of women having physiological oedema in pregnancy includes :-
1. Salt restriction
2. Bed rest
3. Fluid restriction
4. Diuretics

Correct answer: 2. Bed rest

Explanation: The cause of physiological edema is due to increased venous pressure of the inferior extremities by the gravid uterus pressing on the common iliac veins Edema disappears on rest with foot end elevation Salt restriction, diuretics and fluid restriction have no role in management of physiological edema Diuretics and fluid restriction may be offered to patients having edema secondary to heart disease to reduce preload.